A patient presents with a chief complaint of chronic nose bleeds. To control the severity of these nosebleeds, his physician decides to ligate the sphenopalatine artery. From which of the following arteries does the sphenopalatine artery arise from?
1. External carotid
2. Facial
3. Maxillary
4. Ophthalmic

Correct answer: 3. Maxillary

Explanation: The sphenopalatine artery is the terminal branch of the maxillary artery. The maxillary artery arises from the external carotid artery and then passes through the infratemporal fossa, giving off branches to structures in this region.